A country with mid-year population of 10 lac has Crude death rate of 20. Calculate the total no. of deaths per year?
1. 20000
2. 200000
3. 2000
4. 50000

Correct answer: 1. 20000

Explanation: Crude death rate = Total No. of deaths during that year/Midyear population X 1000 20 = No. of deaths during the year/ 1000000 X 1000 No. of deaths during the year = 20 X 1000000 /1000 No. of deaths during the year = 20000